True labour pains include all except :
1. Painful uterine contraction
2. Short vagina
3. Progressive descent of presenting part
4. Cervical dilatation

Correct answer: 2. Short vagina

Explanation: True labour pains: Cervical dilatation Regular and gradual increase in duration and frequency of contractions Bag of water is formed Associated with show Painful uterine contractions. Ref: Datta Obs 9e pg 110.